Nasopharyngeal angiofibroma is:
1. Benign
2. Malignant
3. Benign but potentially malignant
4. None of the above

Correct answer: 1. Benign

Explanation: Nasopharyngeal fibroma is the most common benign tumor of nasopharynx. Most common site is posterior part of nasal cavity close to the margin of Sphenopalatine foramen. Though it is a benign tumor, it is locally invasive and destroys the adjoining structures. Juvenine Angiofibroma is uncommon, benign and extremely vascular tumor that arises in the tissues within the sphenopalatine foramen.